Fascia of Waldeyer belongs to
1. Fascia of the pelvic wall to anorectal junction
2. Fascia of the pelvic floor
3. Fascia of the pelvic viscera
4. None of the above

Correct answer: 1. Fascia of the pelvic wall to anorectal junction

Explanation: Presacral fascia of Waldeyer, lies the anterior aspect of the sacrum, enclosing the sacral vessels and nerves. It continues anteriorly as the pelvic parietal fascia covering the entire pelvic cavity and is limited posteroinferiorly, as it fuses with the mesorectal fascia, lying above the levator ani muscle at the level of the anorectal junction.